Transverse carpal ligament is ?
1. Flexor retinaculum of hand
2. Extensor retinaculum of hand
3. Radial collateral ligament
4. Intercarpal ligament

Correct answer: 1. Flexor retinaculum of hand

Explanation: Ans. is 'a' i.e., Flexor retinaculum of hand Transverse Carpal Ligament: It is also called flexor retinaculum or anterior annular ligament. It is a fibrous band on the palmar side of the hand near the wrist. It arches over the carpal bones of the hands, covering them and forming the carpal tunnel.